True about Erythema elevatum diutinum
1. Chronic cutaneous fungal infection
2. Most common site of involvement is trunk
3. A cutaneous marker of glucagonoma
4. Dapsone is drug of choice

Correct answer: 4. Dapsone is drug of choice

Explanation: Dapsone is drug of choice. Erythema elevatum diutinum: a. Rare disease? unknown incidence. b. A chronic leukocytoclastic vasculitis typified by a distinctive clinical pattern. c. Symmetric, erythematous, violaceous, or yellow-brown papules/nodules/plaques. d. Most common sites of involvement are the extensor surfaces of the hands, fingers, elbows, knees, legs, and Achilles tendon. Trunk is usually spared. Erythema elevatum diutinum (EED) is a rare type of necrotising vasculitis that is characterised by red, purple, brown or yellow papules (raised spot), plaques, or nodules, found on the backs of the hands, other extensor surfaces overlying joints, and on the buttocks. Treatment. Dapsone is the first line of treatment for erythema elevatum diutinum. Other treatments which may be used include sulfapyridine, niacinamide, and intermittent plasma exchange (PLEXA). In rare cases, surgical treatment may be used to provide symptomatic relief. Ref Robbins 9/e pg 345